Monosymptomatic hypochondriasis means
1. paranoid type delusional disorder
2. Declerambault syndrome
3. somatic type delusional disorder
4. othello syndrome

Correct answer: 3. somatic type delusional disorder

Explanation: * Somatic o ALSO KNOWN AS * Monosymptomatic hypochondriacal psychosis * Delusional parasitosis * Olfactory reference syndrome o DIFFERENTIAL DIAGNOSIS * HYPOCHONDRIASIS====NOT REASSURED as in hypochondriasis Ref.Kaplon and sadock, synopsis of psychiatry,11 th edition, pg no.333